A person going to temple gets irresistible sense of ideas to abuse God, which cannot be resisted, likely diagnosis is :
1. Obsessive compulsive disorder
2. Mania
3. Schizophrenia
4. Delusion

Correct answer: 1. Obsessive compulsive disorder

Explanation: Ans. is 'a' obsessive compulsive disorder The person is suffering from obsessive compulsive disorder because he knows that the thoughts coming in his mind (to abuse god) are absurd & irrational (he is trying to resist it). This shows that the thoughts are "ego alien".This obsession or thought is followed by a behaviour which is performed with a sense of compulsion. So the diagnosis is O.C.N.